The effective temperature of 'comfort zone is'?
1. 69-76deg F
2. 77-80deg
3. 83-85deg F
4. 86-90deg F

Correct answer: 2. 77-80deg

Explanation: Ans. is `b' i.e. 77-80deg F